Chronic Lymphocytic Leukemia (CLL) is associated with:
1. Individuals > 50 years of age
2. Mature small lymphocytes in peripheral smear
3. Hepatosplenomegaly and lymphadenopathy
4. All of the above

Correct answer: 4. All of the above

Explanation: Answer is D (All of the above) Essentials in Hematology and clinical pathology' by Naik, Ras, Gupta (JP) 2012/202, 205, 204 CLL is commonly seen in individuals > 50 years (median age is about 65 year) and are typically chrachterized by the presence of increased number of mature small lymphocytes in the peripheral smear. Hepatosplenomegaly and lymphadenopathy may be seen. 'The physical examination may be unremarkable but common. findings are hepatosplenomegaly and enlarged non tender, farm mobile lymph nodes in the cervical axillary and inguinal areas' Diagnostic criteria of CLL are (Wintrobe's Atlas of Clinical Hematology) An absolute Lymphocytosis > 5x I 09/L > 30% Lymphocytosis in a normocellular or hypercellular bone marrow Monoclonal B cells with low levels of surface immunoglobulins and CD5 positivity